Thistle-tube appearance is a characteristic feature of:
1. Radicular dentin dysplasia
2. Coronal dentin dysplasia
3. Amelogenesis imperfecta
4. Dentinogenesis imperfecta

Correct answer: 2. Coronal dentin dysplasia

Explanation: Radiographic features of type II (coronal) dentin dysplasia:
The permanent teeth exhibit an abnormally large pulp chamber in the coronal portion of the tooth, often described as ‘thistle-tube’ in shape, and within such areas radiopaque foci resembling pulp stones may be found.
Ref: Shafer's textbook of oral pathology 7th edition page 57